Z score measures the bone mineral density compared to
1. Age, Race and sex matched individuals
2. Race and sex matched individuals
3. Sex matched individuals
4. None of the above

Correct answer: 1. Age, Race and sex matched individuals

Explanation: T Score and Z score are the measures of bone mineral densityZ score: measures the bone mineral density in terms of standard deviation from the mean bone mineral density of age, race, and sex-matched individualsT score: measures the bone mineral density in terms of standard deviation from the mean bone mineral density of race and sex-matched individuals or normal younger age group(Refer: Mohindra's Fundamentals of Orthopedics, 2nd edition, pg no. 400 - 412)